Enzyme deficiency in galactosemia -
1. Glucokinase
2. Aloblase - B
3. Galactokinase
4. All of the above

Correct answer: 3. Galactokinase

Explanation: Ans. is 'c' i.e., Galacto kinase o Galactosemia is a group of metabolic disorders which results from inborn errors due to deficiency of the enzymes of galactose metabolism.o The classical galactosemia is caused by deficiency of galactose-1-phosphate uridyl transferase. The less common types of galactosemia occur due to deficiency of galactokinase and UDP - galactose-4-epimerase.o Urine of the patient shows reducing sugar (galactose) which can be detected by Benedicts reagent. Glucose oxidase test is negative as it is specific for glucose. Thus, presence of reducing material (galactose) in urine with a negative glucose oxidase test suggests diagnosis of galactosemia.